Propanolol is useful for all of the following except ?
1. Angina
2. Familial tremor
3. Hypertension
4. Partial AV block

Correct answer: 4. Partial AV block

Explanation: Ans. is 'd' i.e., Partial AV block